A patient with new-onset syncope has a blood pressure of 110/95 mm Hg and a harsh systolic ejection murmur at the base, radiating to both carotids. Auscultation of the second heart sound at the base might reveal which of the following findings?
1. it is accentuated
2. it is diminished
3. it is normal in character
4. it is widely split due to delayed ventricular ejection

Correct answer: 2. it is diminished

Explanation: In aortic stenosis, the first sound is usually normal; the second sound is characteristically diminished because of the increased ventricular pressure and the stenotic valve is less mobile. There can be a single S2 either because A2 and P2 are superimposed or A2 is absent or very soft. Severe aortic stenosis may be accompanied by paradoxical splitting of S2.